Which of the following drugs is not used for the treatment of cancer
1. Cyclophosphamide
2. Cyclosporine
3. Methotrexate
4. 6-mercaptopurine

Correct answer: 2. Cyclosporine

Explanation: Ref-KDT 6/e p839,840 All antimetabolite can be used as anticancer drugs excepts azathioprine Cyclosporine acts by inhibiting the transcription of IL-2 gene.it has no anti-cancer property